Internal nasal valve is bounded by?
1. Columella
2. Lower lateral cartilage
3. Upper lateral cartilage
4. Alae

Correct answer: 3. Upper lateral cartilage

Explanation: Ans. is'c'i.e., Upper lateral cartilage Rel Gray's anatomy Ch. 32Disease of Ear, Nose and Throat By Mohan Bansal p. 287Mink gave the nasal valve anatomy in 1903. It was described as the area with highest nasal resistance.It is bound superiorly between the caudal end of the upper lateral cartilage and the nasal septum;Inferiorly The nasal floor;Laterally the bony piriform aperture and the fibrofatty tissue.Posteriorly the head of the inferior turbinates.Its normal cross sectional area is 55 - 83 mm2.